Deep transverse arrest is seen in-
1. Androidpelvis
2. Gynaecoid
3. Anthropoid
4. Platypoid

Correct answer: 1. Androidpelvis

Explanation: Ans. is 'a' i.e., Android pelvis Gynecoid pelvis : This is suitable for vaginal delivery.Android pelvis : Associated with deep transverse arrest.Anthropoid pelvis : Associated with persistent OP position .Plattypeloid pelvis : Associated with obstructed labour.